Feulgen reaction is used to test
1. mRNA
2. tRNA
3. DNA
4. SnRNA

Correct answer: 3. DNA

Explanation: DNA should be stained red. The background, if counterstained, is green. The Feulgen reaction is a semi-quantitative technique. If the only aldehydes remaining in the cell are those produced from the hydrolysis of DNA, then the technique is quantitative for DNA.